Anatomical closure of ductus arteriosus occurs at ________
1. Birth
2. 3-4 days
3. 10-21 days
4. 10-15 hours

Correct answer: 3. 10-21 days

Explanation: Ductus arteriosus is functionally closed at 10-15 hours after birth and then anatomical closure occurs at 10-12 days. Ref: Ghai essential pediatrics 9th edition Pgno: 400